Incompletly descended testis is commonest on-
1. Right side
2. Left side
3. Both side
4. Right sided only

Correct answer: 1. Right side

Explanation: All these are complications of undescented testis.